Which of the following drug is not effective by oral route?
1. Erythromycin
2. Ciprofloxacin
3. Streptomycin
4. Albendazole

Correct answer: 3. Streptomycin

Explanation: Aminoglycosides like streptomycin are not effective orally because these are polar molecules and are not absorbed from GIT